IQ value of 90 - 109 belong to
1. Imbecile
2. Moron
3. Normal
4. Near Genius.

Correct answer: 3. Normal